Turricephaly is
1. Tall head
2. Narrow head
3. Wide head
4. Short head

Correct answer: 1. Tall head

Explanation: Turricephaly is defined as cone shaped head from premature fusion of coronal suture Sphenofrontal suture Frontoethmoidal suture. Ref: Nelson's, 20th edition, page 2818